Which is not a dervative of cannabis?
1. Charas
2. Ganja
3. Heroin
4. Bhang

Correct answer: 3. Heroin

Explanation: Cannabis also is known as Dagga in South andCentral Africa and Hashish in Egypt as many preparations Marijuana (marihuana/mary jane/pot/weed/grass): The most commonly abused form of Cannabis is marijuana, which is dried plant material including cut leaves, flowering tops, stems, and seeds. Hashish (charas): It is dark black-brown resinous exudates from the leaves and stems of the plant. Ganja: It is the resinous extract of leaves and bracts of a female plant. Bhang (Siddhi/patti/sabji): It is also a form of Cannabis, which is ingested. It consists of dried leaves and fruiting shoots and is prepared by rubbing black pepper, sugar and dried leaves of Cannabis on a stone slab. Majun: It is a so of confection prepared from bhang after treating it with sugar, flour, milk, and butter. Ref - Krishan Vij textbook of forensic medicine and toxicology 5e pg : 513